Wiskott Aldrich syndrome is characterized by all Except:
1. Thrombocytopenia
2. Autosomal recessive
3. Failure of aggregation of platelets in response to agonists
4. Eczema

Correct answer: 2. Autosomal recessive

Explanation: Answer is B (Autosomal Recessive) Wiskot Aldrich syndrome is an X linked Recessive syndrome and not an autosonzal recessive syndrome. Wiskott Aldrish Syndrome is associated with an impaired platelet aggregation response. `Several platelet abnormalities have been reported in Wiskott Aldrich syndrome including impaired aggregation responses'